Patient's head position while recording Potsdam by fluid wax technique should be:
1. Frankfort horizontal plane is 15 degrees below the horizontal plane.
2. Frankfort horizontal plane is 30 degrees below the horizontal plane.
3. Frankfort horizontal plane is 45 degrees below the horizontal plane.
4. None

Correct answer: 2. Frankfort horizontal plane is 30 degrees below the horizontal plane.